Following is not seen in bezold-jaisch reflex:
1. Hypoapnoea
2. Bleeding
3. Hypotension
4. Bradycardia

Correct answer: 2. Bleeding

Explanation: It produces: Hypoapnoea, hypotension, bradycardia It increases parasympathetic activity on heart and is cardio protective Ref:Guyton and Hall textbook of medical physiology 12th edition,page number 216,217,218,219,220